Which of the following is FALSE about portal vein:
1. Formed behind the neck of pancreas
2. Bile duct lies anterior and right to it
3. Gastroduodenal artery lies to the left and anterior to it
4. Ascends behind the 2nd part of duodenum

Correct answer: 4. Ascends behind the 2nd part of duodenum

Explanation: Formed behind the neck of pancreas Portal vein ascends behind first part of duodenum. Bile duct lies anterior and right to it and Gastroduodenal artery lies to the left and anterior to it. Fig :- portal vein